Anteversion of uterus is maintained by:-
1. Cardinal ligament
2. Uterosacral ligament
3. Pubocervical ligament
4. Round ligament

Correct answer: 4. Round ligament

Explanation: Normally, the uterus lies in anteversion and anteflexion, maintained by Round ligament> uterosacral ligament Anteversion: angle between uterus and vagina- 90o Anteflexion: angle between uterus and cervix (at internal os)- 120o